The most appropriate drug used for chelation therapy in beta thalassemia major is -
1. Oral desderrioxamine
2. Oral deferiprone
3. Intramuscular EDTA
4. Oral Succimer

Correct answer: 2. Oral deferiprone

Explanation: Ans. is 'b' i.e., Oral deferiprone Desferrioxamine is poorly absorbed from GIT and hence not recommended for oral administration, although it continues to be the chelating agent of choice for parentral administration. o Deferiprone is a recently introduced orally active iron chelating agent meant to be used as an alternative to injected desferrioxamine. o Oral Deferiprone is prefered over oral desferrioxamine. Remember o For acute iron poisoning desferioxamine is the DOC. o For chronic iron overload, e.g. thalassemia, oral deferipone is the DOC.